Which of the following is not seen with hyperkalemia?
1. Sinus bradycardia
2. Ventricular tachycardia
3. Slow idioventricular rhythm
4. Bidirectional tachycardia

Correct answer: 4. Bidirectional tachycardia

Explanation: Bidirectional tachycardia - associate with digoxin toxicity but MC - Ventricular Bigeminy K+ slows the heart it can trigger sinus bradycardia contribute to sinus arrest Hyperkalemia - Diastolic arrest Sinus bradycardia Slow idioventricular rhythm Digoxin toxicity Ventricular Bigeminy Nonparoxysmal atrial tachycardia with AV block Bidirectional Tachycardia